Which is not a derivative of cannabis?
1. Heroin
2. Charas
3. Ganza
4. Bhang

Correct answer: 1. Heroin

Explanation: Ans. (a) HeroinRef.: Parikh 6th ed. 10.54